Which is not an endogenous catecholamine?
1. Isoprenaline
2. Dopamine
3. Noradrenaline
4. Adrenaline

Correct answer: 1. Isoprenaline

Explanation: Ans. A. Isoprenalinea. Dopamine, adrenaline and noradrenaline are endogenous catecholamines,b. Dobutamine, fenoldopam, dopexamine and isoprenaline are exogenous catecholamines